Concentration of sodium in ECF is
1. 130-136 millimoles/lit
2. 132-140 millimoles/lit
3. 138-146 millimoles/lit
4. 140-147 millimoles/lit

Correct answer: 3. 138-146 millimoles/lit

Explanation: Sodium levels are usually between 136to 145 mmol/L . Blood sodium level less than 136mmol/L mean you have less sodium Ref:Guyton and Hall textbook of medical physiology 12th edition,page number: 50